Application of incubation period is all except
1. To differentiate primary case from secondary cases
2. To prevent infection to the contacts of the infected person
3. To find out time for quarantine
4. To find out time for isolation

Correct answer: 4. To find out time for isolation